A 45-years old female presents with symptoms of acute cholecystitis. On USG there is a solitary gallstone of size 1.5 cm. symptoms are controlled with medial management. Which of the following is the next most appropriate step in the management of this patient?
1. Regular follow up
2. IV antibiotics
3. Laparoscopic cholecystectomy immediately
4. Open cholecystectomy immediately

Correct answer: 3. Laparoscopic cholecystectomy immediately

Explanation: Ans. (c) Laparoscopic cholecystectomy immediatelyRef: Sabiston 19/ e p l487-1488* Recent concept is EARLY CHOLECYSTECTOMY for Acute Cholecystitis (Surgery done in first 72 hours of onset of symptom)